Shenton's line is -
1. Line joining ASIS and ischeal tuberosity
2. Linejoining ASIS and tip of GT
3. Line joining two ASIS (left & right)
4. Curve formed by neck of femur and obturator foramen

Correct answer: 4. Curve formed by neck of femur and obturator foramen

Explanation: Ans. is 'd' i.e., Curve formed by neck of femur and obturator foramenShenton's lineo It is a smooth curve formed by inferior border of neck offemur with superior margin of obturator foramen.Nelaton's line:o With the hip in 90 degree offlexion, a line joining the ASIS and ischial tuberosity passes through the tip of the greater trochanter on that side.o In cases of supratrochanteric shortening the trochanter will be proximal to this line.Shoemaker's line:o With the patient lying supine, the line joining ASIS and tip of the greater trochanter is extended on the side of the abdomen on both sides.o Normally these lines meet in the middle above the umblicus.o In case one of the greater trochanter has migrated proximally the lines will meet in the opposite side of the abdomen and below the umblicus.Chiene's line:o With the patient lying supine, lines are drawn joining the two ASIS and the two greater trochanters.o Normally these make two parallel lines. In case one of the trochanters has moved proximally the lines will converge on that side.Perkin's line:o When the congenital Dislocation of hip is mild in nature, the perkins lines are drawn to detect it.o A horizontal line is drawn through the triradiate cartilage and a vertical line is drawn down from the outer edge of the acetabulum on both sides.o The upper femoral epiphyses normally lies medial to the vertical line and below the horizontal lineo But in congenital dislocation of hip the epiphyses will lie on the outer aspect of the vertical line and above the horizontal line.Brvants triangle:o The patient lies supine.o The tips of the greater trochanter and ASIS on both sides are marked.o A perpendicular is dropped from each ASIS on to the bed. From the tip of the greater trochanter another perpendicular is dropped on to the first one. The tips of the greater trochanter are joined to the ASIS on the respective side. This forms a triangle ABC.o The side BC of the triangle measures supra trochantric shortening of hip.